Apical third root fracture in a vital tooth are related by:
1. Extraction.
2. Relieve from occlusion and observe.
3. RCT.
4. Any of the above.

Correct answer: 2. Relieve from occlusion and observe.